Most common indication of liver transplant in children is
1. Chronic Viral hepatitis
2. Biliary atresia
3. Tyrosinemia
4. Von Gierce disease

Correct answer: 2. Biliary atresia

Explanation: Biliary atresia is the most common indication for liver transplantation in India, followed by metabolic and inborn disorders.